Which of the following is the earliest sign of lead poisoning?
1. Facial pallor
2. Colic and constipation
3. Punctate basophilia
4. Encephalopathy

Correct answer: 1. Facial pallor

Explanation: Facial pallor particularly of the mouth is the earliest and most consistent sign of chronic lead poisoning and is due to vasospasm. Chronic poisoning results from a daily intake of 1-2mg of lead. Other characteristic features of chronic lead poisoning are anaemia (punctate basophilia), lead line, colic and constipation, lead palsy and encephalopathy. Reference: Essentials of Forensic Medicine and Toxicology by Dr K.S Narayan Reddy 27th edition page 479.